Branching enzyme in used in -
1. Glycogenesis
2. Glycogenolysis
3. Gluconeogenesis
4. Glycolysis

Correct answer: 1. Glycogenesis

Explanation: Ans. is 'a' i.e., Glycogenesis o Enzymes involved in glycogen metabolism areGlycogenesisGlycogen synthase-a (activej/Glycogen synthase - b (inactive)Branching enzyme (amylo-1,4 - 1,6 transglucosidase)GlycogenolysisGlycogen phosphorylase-a (active)/Glycogen phosphorylase-b (inactive)Glucan transferase (oligo a-1,4 -a-1,4 glucan transferase)Debranching enzyme (amylo-1,6 glucosidase)